Facial nerve palsy is seen in
1. Sarcoidosis
2. VZV
3. Acoustic Neuroma
4. All

Correct answer: 4. All

Explanation: All the above conditions cause facial palsy. Ref: Dhingra 6th edition pg. 94